Which of the following age groups falls under early adolescence age group?
1. 8-10 yrs
2. 10-13 yrs
3. 14-16 yrs
4. 17-19 yrs

Correct answer: 2. 10-13 yrs

Explanation: Adolescence is divided into 3 phases Early adolescence (10-13 yrs) Mid adolescence (14-16 yrs) Late adolescence (17-19 yrs) Ref: Ghai, 9th edition- Page 60.